Selenium sulfide is indicated for treating:
1. Tinea versicolor
2. Tinea corporis
3. Mixed myocotic infections
4. Candidiasis only

Correct answer: 1. Tinea versicolor

Explanation: Tinea versicolor